Which of the following statement regarding water reabsorption in the tubules?
1. The bulk of water reabsorption occurs secondary to Na+ reabsorption
2. Majority to facultative reabsorption occurs in proximal tubule
3. Obligatory reabsorption in ADH dependent.
4. 20% of water is always reabsorbed irrespective of water balance

Correct answer: 1. The bulk of water reabsorption occurs secondary to Na+ reabsorption

Explanation: Water reabsorption occurs along with sodium reabsorption.Ref: Ganong's review of medical physiology; 24th edition; page no: 685